Which of the following is the allosteric activator of Acetyl-CoA carboxylase?
1. Malonyl-CoA
2. Acetyl-CoA
3. Citrate
4. Biotin

Correct answer: 3. Citrate

Explanation: Acetyl-CoA carboxylase is active when it is polymerized. Citrate promotes its polymerization. Citrate is an indicator of high-energy status. Palmitoyl-CoA inhibits its polymerization.